Which of these is a conservative mutator
1. Glutamic acid-glutamine
2. Histidine-glycine
3. Alanine-leucine
4. Arginine-aspartic acid

Correct answer: 3. Alanine-leucine

Explanation: Conserved mutation means altered AA has same properties of original AA. e.g. glutamic acid to aspartic acid (both acidic) or alanine to leucine (both aliphatic).